Absence of pulp chambers is seen in
1. Craniofacial dysostosis
2. Dentinogenesis imperfecta
3. Amelogenesis imperfecta
4. Any of the above

Correct answer: 2. Dentinogenesis imperfecta